Genital warts are caused by which virus?
1. Herpes simplex
2. Human papilloma
3. Cytomegalovirus
4. Varicella zoster

Correct answer: 2. Human papilloma

Explanation: Genital warts are soft growths that appear on the genitals. Genital warts are a sexually transmitted infection (STI) caused by certain strains of the human papillomavirus (HPV). These skin growths can cause pain, discomfort, and itching REF : THOMAS HABIF 6TH ED